The primary pathology in Athletic Pubalgia is:
1. Abdominal muscle strain
2. Rectus femoris strain
3. Gluteus medius strain
4. Hamstring strain

Correct answer: 1. Abdominal muscle strain

Explanation: The primary site of pathology in Athletic pubalgia is the insertion of Rectus abdominus (and not rectus femoris). Rectus abdominis is an abdominal muscle and hence abdominal muscle strain is the single best answer of choice. Ref: Practical Orthopaedic Sports Medicine and Arthroscopy, 2006, Pages 532-33; Manual of Sports Medicine, 1998, Page 429